Most unfavourable presentation for vaginal delivery is / delivery not possible per vaginum is :
1. Mento posterior
2. Mento anterior
3. Occipito posterior
4. Deep transverse arrest

Correct answer: 1. Mento posterior

Explanation: Mento posterior